A 52-year-old man has a fever and cough productive of thick, gelatinous sputum that worsens over 4 days. On physical examination, his temperature is 38.2deg C. On auscultation of the chest, diffuse crackles are heard at the right lung base. Laboratory studies show WBC count, 13,240/mm3 with 71% segmented neutrophils, 8% bands, 15% lymphocytes, and 6% monocytes. A sputum gram stain shows gram-negative bacilli with mucoid capsules. His condition improves after a course of gentamicin therapy. Which of the following complications of this infection is he most likely to develop?
1. Abscess formation
2. Adenocarcinoma
3. Bullous emphysema
4. Cavitary granulomas

Correct answer: 1. Abscess formation

Explanation: Bacterial infections with predominantly neutrophilic responses are marked by suppurative inflammation, and a virulent organism such as Klebsiella can lead to tissue destruction with abscess formation. Carcinomas are not sequelae of bacterial infections. Infections of the lung do not result in emphysema but may complicate emphysema. Granulomatous inflammation is characteristic of mycobacterial or fungal infections. Gas-forming bacteria, such as anaerobic Clostridium organisms, are unusual as a cause of respiratory infections.